All of the following factors decrease the minimum alveolar concentration (MAC) of an inhalational anaesthetic agent except
1. Hypothermia
2. Hyponatremia
3. Hypocalcemia
4. Anemia

Correct answer: 3. Hypocalcemia

Explanation: MINIMUM ALVEOLAR CONCENTRATION: The MAC of an inhaled anesthetic is the alveolar concentration that prevents movement in 50% of patients in response to a standardized stimulus (eg, surgical incision). MAC is a useful measure because it mirrors brain partial pressure, allows comparisons of potency between agents, and provides a standard for experimental evaluations. Ref: Miller's anesthesia 8th edition Ref: Morgan & Mikhail's clinical anesthesiology 6e